Which of the following local anaesthetic has the potential to cause methamoglobinemia ?
1. Procaine
2. Prilocaine
3. Tetracaine
4. Bupivacaine

Correct answer: 2. Prilocaine

Explanation: Prilocaine is a local anaesthetic similar to lignocaine. A metabolite of prilocaine has the potential to cause methaemoglobinemia. Prilocaine is used mainly for infiltration, nerve block and for providing intravenous regional anaesthesia.